In an injury with multiple fractures, most important is
1. Airway maintenance
2. Blood transfusion
3. Intravenous fluids
4. Open reduction of fractures

Correct answer: 1. Airway maintenance

Explanation: A i.e. Airway maintenance